Which of the following is used as fungal stain in tissue biopsy sections?
1. PAS
2. Alizarin red
3. LPCB
4. Masson Trichrome

Correct answer: 1. PAS